Dental profiling is also called as
1. Comparative identification
2. Reconstructive identification
3. Positive identification
4. Oral autopsy

Correct answer: 2. Reconstructive identification